For antenatal fetal monitoring in a diabetic pregnancy all of the following are useful except :
1. Non-stress test
2. Biophysical profile
3. Doppler flow study
4. Fetal kick count

Correct answer: 3. Doppler flow study

Explanation: Doppler flow study